Isolated hypoglossal nerve injuries are rare. If there is unilateral injury to hypoglossal nerve, all of the clinical manifestations are seen, EXCEPT:
1. Hemiatrophy of involved side
2. Deviation of tongue towards the same side
3. Loss of taste sensation in one half of the tongue
4. Fasciculation of the tongue

Correct answer: 3. Loss of taste sensation in one half of the tongue

Explanation: In hypoglossal nerve lesions, there may be deviation of the protruded tongue toward the weak side. Denervation of the tongue may be associated with wasting (atrophy) and twitching (fasciculation).Taste sensations are carried by the chorda tympani branch of the facial nerve from anterior two third of tongue and glossopharyngeal nerve from posterior one third of tongue. Ref: Greenberg D.A., Aminoff M.J., Simon R.P. (2012). Chapter 1. Neurologic History & Examination. In D.A. Greenberg, M.J. Aminoff, R.P. Simon (Eds), Clinical Neurology, 8e.